True about Rigor mortis:
1. Does not occur in fetus less than 7 months
2. Involves voluntary muscles only
3. Lasts for 12 - 24 hours in summer
4. Starts in chin

Correct answer: 1. Does not occur in fetus less than 7 months

Explanation: Ans. (A). Does not occur in fetus less than 7 monthsRigor mortis involves both voluntary and involuntary muscles, earlier in involuntary muscles.Rigor mortis is not seen inRigor mortis is tested byFetus < 7 monthsQHeat stiffeningQEmbalmingQTrying to lift eyelidsLowering the jawBending neck & thighsInstrument:Electromyogram